Site of action of vecuronium is -
1. Cerebrum
2. Reticular formation
3. Motor neurone
4. Myoneural junction

Correct answer: 4. Myoneural junction

Explanation: Ans. is 'd' i.e., Myoneural junction Vecuronium is a nondepolarizing (competitive) neuromuscular blocker. The site of action is the end plate of skeletal muscles (End plate is thickened portion of muscle membrane at neuromuscular junction).